Majority of bladder cancers are:
1. Adenocarcinoma
2. Adenosquamous carcinoma
3. Squamous carcinoma
4. Transitional cell carcinoma

Correct answer: 4. Transitional cell carcinoma

Explanation: Ans: D (Transitional cell carcinoma) Ref: Bailey & Love's Short Practice of Surgery,25th Edition 1334Explanation:Types of Bladder CancerTransitional Carcinoma - 90%Squomous cell carcinoma -5 (Associated with hilharzias)Adenocarcinoma -1-2% ( Arises either from the urachal remnant or from areas of glandular metaplasia)NoteMost common type of Prostrate cancer - AdenocarcinomaMost common type of Renal cell Carcinoma - Adenocarcinoma